A young man presented with hyper parathyroidism. Which of the following radionuclide scan is done for parathyroid adenoma?
1. Sesta MIBI scan
2. Iodine-123 scan
3. 99mTc-sulphur colloid
4. Gallium scan

Correct answer: 1. Sesta MIBI scan

Explanation: The localization ability of Technetium 99m sestamibi scintigraphy is based on its preferential uptake by parathyroid cells, due to their high mitochondrial activity. Delayed images taken 2 to 3 h after injection are sensitive in up to 90% of single adenoma cases, with over 90% specificity. Sestamibi imaging is also effective in cases of double adenoma. However, it has significantly reduced accuracy in cases of four-gland hyperplasia. Ref: Singer M.C., Terris D.J. (2012). Chapter 43. Parathyroid Disorders. In A.K. Lalwani (Ed), CURRENT Diagnosis & Treatment in Otolaryngology--Head & Neck Surgery, 3e.